All are absolute indications of tonsillectomy except
1. Suspicious malignancy
2. Peritonsillar abscess
3. Chronic tonsillits
4. Tonsils causing obstructive sleep apnea

Correct answer: 3. Chronic tonsillits

Explanation: Ans. is 'c' i.e., Chronic tonsillits Tonsillectomy Tonsillectomy, as the name suggests, is the surgical procedure to remove the tonsils. Often, tonsillectomy is done at the same time as adenoidectomy. Indications Indications are divided into :? A. Absolute 1. Recurrent infections of throat. This is the most common indication.Recurrent infections are further defined as : Seven or more episodes in one year, or Five episodes per year for 2 years, or Three episodes per year for 3 years, or Two weeks or more of lost school or work in one year. 2. Peritonsillar abscess. In children. tonsillectomy is done 4-6 weeks after abscess has been treated. In adults, second attack of peritonsillar abscess forms the absolute indication. 3. Tonsillitis causing febrile seizures. 4. Hypertrophy of tonsils causing Airway obstruction (sleep apnoea) Difficulty in deglutition Interference with speech. 5. Suspicion of malignancy. A unilaterally enlarged tonsil may be a lymphoma in children and an epidermoid carcinoma in adults. An excisional biopsy is done. B. Relative Diphtheria carriers, who do not respond to antibiotics Streptococcal carriers, who may be the source of infection to others. Chronic tonsillitis with bad taste or halitosis which is unresponsive to medical treatment. Recurrent streptococcal tonsillitis in a patient with valvular heart disease. C. As a part of Another Operation Palatopharyngoplaty which is done for sleep apnoea syndrome. Glossopharyngeal neurectomy. Tonsil is removed first and then IX nerve is severed in the bed of tonsil. Removal of styloid process.